Fluoroscein dye study is done to detect
1. Assess retinal function of babies
2. Retinal vascular pathology
3. Macular pathology
4. Posterior segment of eye

Correct answer: 2. Retinal vascular pathology

Explanation: Ans. is 'b' i.e., Retinal vascular pathology Angiography for fundus examination Angiography is used for dynamic flow study of Iris, Retina or choroid. Following types of angiographies are used. Fluorescein Angiography :- Sodium fluorescein dye is used by injecting it into antecubital vein. It is primarily used for retinal vasculature, but iris & choroid can also be examined. Indocyanine green Angiography :- It is used primarily for choroidal vasculature, especially in choroidal neovascular membranes (CNVM). Therefore, it is used in - i) The identification and delineation ofpoorly defined or occult choroidal neovascularization, (ii) Retinal pigmented epithelium (RPE) detachments.